'Row of tombstones' appearance is seen in :
1. Irritant dermatitis
2. Pemphigus
3. Pemphigoid
4. Harpes zoster

Correct answer: 2. Pemphigus

Explanation: B. i.e. Pemphigus